FSH acts on which of the following:
1. Granulosa cell
2. Theca interna
3. Endometrium
4. Myometrium

Correct answer: 1. Granulosa cell

Explanation: A i.e. Granulosa cells